All are true of supraglottic cancer except:
1. Earliest symptom is hoarseness
2. Most aggressive of laryngeal cancers
3. High incidence of nodal metastases
4. Commonest site in supraglottic region is epiglottis

Correct answer: 1. Earliest symptom is hoarseness

Explanation: Supraglottic growth remains asymptomatic or present with cough and something sticking in throat. Hoarseness is the earliest symptom in glottic carcinoma.Commonest site involved in supraglottic region with cancer is epiglottis. From here it spreads to aryepiglottic folds, false cords and ventricles.Supraglottis has rich lymphatic network and therefore incidence of lymphatic metastasis is high. Some of them present with nodal metastases at the initial visit.Even in patients with no clinically positive nodes. 30% have shown micrometastases on pathology.